MEN 2B includes all except
1. MTC
2. Pheochromocytoma
3. Mucosal neuroma
4. Primary hyperparathyroidism

Correct answer: 4. Primary hyperparathyroidism

Explanation: Ref - researchgate.net